Which toll like receptors are involved in action of bacterial endotoxins-
1. I
2. II
3. III
4. IV

Correct answer: 4. IV

Explanation: Reference :Robbins basic pathology 9th edition pg no 321:Bacterial endotoxin is a lipopolysaccharide (LPS) that is a component of the outer membrane of gram-negative bac- teria (Fig. 8-2). LPS is composed of a long-chain fatty acid anchor, termed lipid A, connected to a core sugar chain, both of which are very similar in all gram-negative bacteria. Attached to the core sugar is a variable carbohy- drate chain (O antigen), which is used diagnostically to serotype strains of bacteria. Lipid A binds to CD14 on the surface of host leukocytes, and the complex then binds to Toll-like receptor 4 (TLR4), a pattern recognition receptor of the innate immune system that transmits signals that promote cell activation and in ammatory responses.